Nerve entering the inguinal canal through deep inguinal ring ?
1. Ilioinguinal nerve
2. Pudendal nerve
3. Genital branch of genitofemoral
4. Superior rectal nerve

Correct answer: 3. Genital branch of genitofemoral

Explanation: The spermatic cord in males and round ligament of uterus in females, enter the inguinal canal through the deep inguinal ring and pass out through superficial inguinal ring. Thus consituents of spermatic cord are also components of inguinal canal; these are ductus deferens (vas deferens), testicular artery, cremestric artery, artery to ductus deference, pampiniform plexus, lymphatics, sympathetic plexus, genital branch of genitofemoral nerve, remains of process vaginalis. Note: Ili oiguinal nerve enters inguinal canal through interval between external and internal oblique muscles (not through deep inguinal ring).